Interferon is....in nature -
1. Protein
2. Lipid
3. Polysaccharides
4. All of the above

Correct answer: 1. Protein

Explanation: All cytokines are protein mediators so interferon Reff: Anantharayan & Panikers textbook f microbiology 9th edition pg:153